Five year old child presents with oliguria. There is history of bloody diarrhea 2 weeks ago. Coagulation tests are normal. Peripheral smear is given. What is your diagnosis
1. Thrombotic thrombocytopenic purpura
2. Idioppathic thrombocytopenic purpura
3. G6PD deficiency
4. Hemolytic uremic syndrome

Correct answer: 4. Hemolytic uremic syndrome

Explanation: Ans. (d) Hemolytic uremic syndrome(Ref: R 9th/pg 659)Features of oliguria following an episode of diarrhea with peripheral smear finding of Schistocytes (Helmet cells) is suggestive of Hemolytic uremic syndrome.